CLED medium is used in preference in macconkey agar in relation to culture of organism involved in urine infection the reason is ?
1. it prevents swarming of proteus
2. differentiates LF & NLF
3. PROMOTES staphylococus and candida growth
4. identifies pseudomonas

Correct answer: 3. PROMOTES staphylococus and candida growth

Explanation: CYSTINE LACTOSE ELECTROLYTE DEFICIENT (CLED) AGAR * It's a semi-guantative method for urine. * It distinguish LF from NLF colonies and inhibit Proteus swarming. advantage over MacConky: It supports the growth of certain Staph, Strept and Candida that fail *To grow on Mac Conkey. * it contains- Lactose, L-cystine, Bromothymol blue, Trypton ref ; ananthanaryana 9th ed